Hayman hemostatic suture is applied on:
1. Vagina after biopsy
2. Uterus in PPH
3. Fallopian tubes after re anastomosis.
4. Ovaries after cystectomy

Correct answer: 2. Uterus in PPH

Explanation: Hayman Suture- surgical management of PPH It is considered a uterine compression suture using two longitudinal threads and transfixing the entire uterine wall. This suture is simpler than the B-Lynch suture, sometimes being referred to as the "simple brace."